Porosity of denture base is due to:
1. Packing at dough stage
2. Curing at 160°F for 9 hrs
3. Inadequate pressure
4. All of the above

Correct answer: 3. Inadequate pressure